`NALGONDA technique' is used in -
1. Endemic-fluorosis
2. Epidemic-dropsy
3. Endemic-ascites
4. Ncurolathyrisin

Correct answer: 1. Endemic-fluorosis

Explanation: Ans. is 'a' i.e., Endemic fluorosis interventions to prevent fluorosis a) Changing of water source o Running surface water contains lower quantities of fluoride than ground water. b) Chemical treatment Water can be chemically defluoridated in a water treatment plant. The National Environmental Engineering Research Institute, Nagpur has developed a technique for renewing fluoride by chemical treatment, k/a Nalgonda technique. It involves the addition of two chemical (viz lime and alum) in sequence followed by flocculation, sedimentation and f i Iteration. c) Other measures Fluoride toothpastes are not recommended for children in areas of endemic fluorosis. Fluoride supplements should not be prescribed for children who drink fluorinated water.